Glyceryl trinitrate is given by sublingual route, because it has
1. High absorption
2. High first pass metabolism
3. Low volume of distribution
4. High plasma protein bound

Correct answer: 2. High first pass metabolism

Explanation: Glyceryl trinitrate (GTN) has high first pass metabolism. So preferred route is sublingual to bypass the metabolism liver Advantage of sublingual route Fast acting No first pass metabolism Self administration is possible After action drug can be spitted out